What is the normal weight of uterus?
1. 20 g
2. 40 g
3. 60 g
4. 100 g

Correct answer: 3. 60 g

Explanation: Ans. C 60 gRef: William's OB, 23rd ed. Ch 1* William's states "In nonparous women, the uterus averages 50 to 70 g, whereas in parous women it averages 80 g or more"* Since this question is asking just the normal weight of uterus, 60 gm is most appropriate given the option.UTERUS* Shape- pyriform* Size- 7.5 cm long x 5 cm broad x 2.5 cm thick* Weight- 60 g* Position- 90 degree with the long axis of vagina* Angulation- anteverted, anteflexed